All of the following statement about atrial myxomas are true, except:
1. Most common site is Left Atrium
2. Most common in young individuals
3. Distant metastasis are rare
4. Most myxomas are familial

Correct answer: 4. Most myxomas are familial

Explanation: Answer is D (Most myxomas are fmilial) Most cardiac myxomas are sporadic while some may he familial.